Dreaming is common in which stage of sleep:
1. REM
2. NREM 1
3. NREM 2
4. NREM 3

Correct answer: 1. REM

Explanation: Ans. A: REM Humans aroused at a time when they show the EEG characteristics of REM sleep generally report that they were dreaming, whereas individuals awakened from slow-wave sleep/ NREM do not. This observation and other evidence indicate that REM sleep and dreaming are closely associated. The tooth-grinding (bruxism) that occurs in some individuals is also associated with dreaming.